Hemagglutination done by all virus except
1. Influenza
2. Rubella
3. Measles
4. HPV

Correct answer: 4. HPV

Explanation: Ans. is 'd' i.e., HPV When hemagglutinating viruses grow in cell cultures, their presence can be indicated by the addition of guinea pig erythrocyte to culture. If the viruses are multiplying in the culture, the erythrocytes will adsorb on to the surface of cells. This is known as Hemadsorption. Viruses causing Hemagglutination are : Influenza Virus Measles Rubella Coxsackie Virus RhinoVirus Rabies Parainfluenza Virus TogaVirus EnteroVirus EchoVirus ReoVirus